The muscles of scapula which function as retractors are given below, EXCEPT?
1. Trapezius
2. Rhomboid major
3. Rhomboid minor
4. Levator scapulae

Correct answer: 4. Levator scapulae

Explanation: Three muscles make up of retractors of the scapula. They are, Rhomboid majorRhomboid minor (The rhomboid muscles attach to the spinous processes of C7-T5 and the medial border of the scapula, resulting in scapular retraction)Middle fibers of trapeziuscourse horizontally from the lower nuchal ligament and thoracic vertebrae to the scapula, causing scapular retraction. These muscles primarily tug the shoulder blade back toward the vertebral column. The levator scapula muscle is located deep to the trapezius muscle and superior to the rhomboids causing elevation and downward rotation of the scapula.